Winter bottoms sign in sleeping sickness refers to -
1. Unilateral conjunctivitis
2. Posterior cervical lymphadenopathy
3. Narcolepsy
4. Transient erythema

Correct answer: 2. Posterior cervical lymphadenopathy

Explanation: Generalized or regional lymphadenopathy - Posterior cervical lymphadenopathy (Winterbottom sign) is characteristic of T brucei gambiense African trypanosomiasis